All are associated with MEN-2, Except:
1. Pheochromocytoma
2. Islet cell hype
3. Parathyroid adenoma
4. None

Correct answer: 2. Islet cell hype

Explanation: Answer is B (Islet Cell Hyperplasia): Islet cell Hyperplasia is a feature of Multiple Endocrine Neoplasia Type-1 (MEN -1) Pancreatic Tumors (Islet cell Hyperplasia, adenoma, or carcinoma) are features of MEN-1 and not MEN-2